The normal myeloid erythroid ratio is -
1. 2:01
2. 1:01
3. 3:01
4. 4:01

Correct answer: 3. 3:01